Base of the skul fracture presents with invovlement of the petrous temporal bone, which of the following important sign is seen -
1. Subconjuctival hematoma
2. CSF rhinorrhoea
3. Raccoon eyes
4. Battle sign

Correct answer: 4. Battle sign